Delusions are seen in all of the following, except
1. Schizophrenia
2. Depression
3. Dementia
4. Conversion disorder

Correct answer: 4. Conversion disorder

Explanation: Conversation disorder is characterised by the presence of symptoms or deficits affecting motor or neurological disorders.development of symptoms usually in the presence of significant psychosocial stress. (Ref: A short textbook of psychiatry, Niraj Ahuja,7th edition, page no.99)